True about phacolytic glaucoma
1. Secondary open angle glaucoma
2. Lens protein induced
3. Occurs in hypermature cataracts
4. All of the above

Correct answer: 4. All of the above

Explanation: Ans. d (All of the above) (Ref. Basak's ophthalmology 2nd ed., 168, 207)PHACOLYTIC GLAUCOMA# This is acute glaucoma in eyes with mature or hypermature cataracts.# Denatured lens protein passes through the intact capsule into the anterior chamber and is phagocytized.# The trabecular meshwork becomes congested with protein-binding macrophages and the protein itself.# Prompt cataract extraction not only restores visual acuity but also prevents dev of phacolytic glaucoma.# When the lens capsule becomes permeable for liquified lens substances, it will lose volume due to leakage.# The capsule will become wrinkled.# Escaping lens proteins will cause intraocular irritation and attract macrophages, causing congestion of trabecular network (phacolytic glaucoma).